Major jones criteria are all EXCEPT
1. Polyarthritis
2. Chorea
3. Pancarditis
4. TESR

Correct answer: 4. TESR

Explanation: D. i.e. (t ESR) (334 - Harsh Mohan 5th) (406 - Basic pathology 8th)REVISED JONE'S CRITERIAMAJORMINOR1. Carditis2. Polyarthritis3. Chorea (Sydenham's chorea)4. Erythema marginatum5. Sub cutaneous nodules1. Fever2. Arthralgia3. Previous history of Rheumatic fever4. Laboratory findings of | ESR, raised C- reactive protein, and leucocytosis5. ECG- findings - Prolonged PR intervalSupportive evidence - Positive throat culture, raised titre of streptococcal antibodies (anti streptolysin O and S anti streptokinase, antistreptohyaluronidase and anti DNA ase B)